Chromosomal anomalies and cardiac anomalies are more frequently associated with the following disorder:
1. Gastroschisis
2. Omphalocele
3. Spina Bifida
4. Cleft Palate

Correct answer: 2. Omphalocele

Explanation: Omphalocele has 60 to 70% incidence of associated anomalies, especially cardiac anomalies (20 to 40% of cases) and chromosomal abnormalities. Chromosomal anomalies are more common in children with smaller defects. Omphalocele has an incidence of approximately 1 in 5000 live births and occurs in association with special syndromes such as, Exstrophy of the cloaca (vesicointestinal fissure) Beckwith-Wiedemann constellation of anomalies (macroglossia, macrosomia, hypoglycemia, visceromegaly, and omphalocele) Cantrell pentalogy (lower thoracic wall malformations such as cleft sternum, ectopia cordis, epigastric omphalocele, anterior midline diaphragmatic hernia, and cardiac anomalies) Ref: Hackam D.J., Grikscheit T.C., Wang K.S., Newman K.D., Ford H.R. (2010). Chapter 39. Pediatric Surgery. In F.C. Brunicardi, D.K. Andersen, T.R. Billiar, D.L. Dunn, J.G. Hunter, J.B. Matthews, R.E. Pollock (Eds), Schwartz's Principles of Surgery, 9e.